Thiamine acts as a cofactor in :
1. Conversion of pyruvate to acetyl-CoA
2. Transa mina tion reactions
3. Oxidation in respiratory chain
4. Conversion of pyridoxal to pyridoxal phosphate

Correct answer: 1. Conversion of pyruvate to acetyl-CoA

Explanation: A i.e. Conversion of Pyruvate to acetyl COA